Vaccine for health care workers is -
1. HIV
2. HBV
3. HCV
4. Cholera

Correct answer: 2. HBV

Explanation: .the dose for adults is 10-20 micrograms initially and again at 1 and 6 months.hepatitis B vaccine is available as a monovalent combination.all children and adoloscents aged less than 18 years and not previously vaccinated should receive the vaccine .hepatitis B vaccine is also indicated fpr certain groups of high risk in contracting HBV infection.including persons with high risk sexual behaviour,partners and household contacts of HBs ag positives,persons who frequently require blood or blood products,recipients of organ transplantation,those at occupational risk of HBV infection including health care workers,as well as for international travellers to HBV endemic countries. ref:park's textbook,22 nd ed,pg 196